Creatinine is formed from all except -
1. Glycine
2. Arginine
3. Methionine
4. Asparagine

Correct answer: 4. Asparagine

Explanation: Ans. is 'd' i.e., Asparagine * The three aminoacids used for the synthesis of creatine are Glycine, Arginine and Methionine* In Kidney, Glycine reacts with Arginine in the presence of Arginine Glycine Amido Transferase to for Guanidoacetate and Ornithine* Guanidoacetate through circulation is taken to liver. In liver Guanidoacetate undergoes transmethylation reaction with S- Adenosyl Methionine in the presence of Guanidoacetate Methyl Transferase to form Creatine.* The creatine through circulation reaches tissues.* 90% of creatine is taken up by skeletal muscles and is phosphorylated by creatine Kinase to form creatine Phosphate.* This creatine phosphate acts as the immediate source of energy for skeletal muscle.